Yellow color on the new WHO standard mid-upper arm circumference (MUAC) tape correlates to a MUAC of ________
1. 10.5 to 11.5 cm
2. 11.5 to 12.5 cm
3. 12.5 to 13.5 cm
4. 13.5 to 14.5 cm

Correct answer: 2. 11.5 to 12.5 cm

Explanation: Yellow color on the new WHO standard mid-upper arm circumference of (MUAC) tape correlates to a MUAC of 11.5 to 12.5 cm. Mid-Upper arm Circumference: Used in children between 6 to 60 months Measured between the acromion and olencranon process It is an age-dependent parameter (between 6-60 months) MUAC tape cut-offs Color Measurements Indication Red <11.5 cm Severe acute malnutrition (SAM) Yellow 11.5 to 12.5 cm Under-nourished Green >12.5 cm Normal Similar methods based on MUAC: Bangle Test: It has an internal diameter of 4 cm Normally, it should not cross the elbow QUAC stick test: Mid-upper arm circumference/Height of child Skinfold thickness Age-independent parameter Triceps skinfold thickness is measured with the help of Haependen caliper Normal: 10mm Severe malnutrition: <6mm Ref: World Health Organization